Scoring of palatal bar is
1. Limited to the area of soft displaced tissue
2. To increase the rigidity of the connector
3. Done on the entire posterior border of the bar
4. Done on the entire anterior border of the bar

Correct answer: 1. Limited to the area of soft displaced tissue